The contribution of operation of sodium potassium electrogenic pump for the development of net -90 millivolt on resting membrane potential is
1. -4 millivolt
2. -80 millivolt
3. -70 millivolt
4. +4 millivolt

Correct answer: 1. -4 millivolt